Larvae which infects humans by penetration through skin:
1. Ancylostoma duodenale
2. Ascaris
3. Trichinella
4. Enterobius

Correct answer: 1. Ancylostoma duodenale

Explanation: Ans: a (Ancylostoma duodenale) Ref: Paniker parasitology, 5th ed, p. 164Classification of nematodes on the basis of mode of infection1) By ingestionEggs-trichuris, enterobius, ascarisLarvae-dracunculiasis, trichinella2) Penetration of skinAncylostoma, necator, strongyloides3) By mosquitoFUaria4) By inhalation of eggsAscaris, enterobius5) AutoinfectionHymenolepsis nana, enterobius vermicularis, taenia solium, strongyloides